Most common cause of hematocolpos
1. Cervical atresia
2. Vaginal atresia
3. Transverse vaginal septum
4. Imperforate hymen

Correct answer: 4. Imperforate hymen

Explanation: Hematocolpos is collection of blood in the vagina. Which means the level of obstruction should be at or below the hymen. Cervical atresia will result In hematometra. The commonest cause is imperforate hymen followed by low transverse vaginal septum. The complications include hematometra, hematosalpinx, endometriosis and infertility.